Digitalis is used in the treatment of acute CHF. It can also be used as a long-term maintenance therapy if CHF is associated with:
1. Hypertension
2. Hypertrophic obstructive cardiomyopathy
3. Atrial fibrillation
4. Mitral stenosis

Correct answer: 3. Atrial fibrillation

Explanation: Digitalis- controlling VR (ventricular rate) in (AF +/- CHF). It can't cure/revert AF to sinus rhythm. It | VR by |ing no. of impulses that pass down the A-V node(AVN)+ bundle of His. | ERP of AVN by vagomimetic + antiadrenergic actions: | min. interval b/w consecutive impulses that can traverse conducting tissue. Long ERP of AVN - many atrial impulses (~500/min) falling in the RRP get extinguished by decremental conduction (concealed impulses)